MMR (Measles, mumps, rubella) vaccine is an example of:
1. Live attenuated vaccine
2. Conjugated vaccine
3. Polysaccharide vaccine
4. Killed vaccine

Correct answer: 1. Live attenuated vaccine

Explanation: Ans: a. Live attenuated.. LIVE ATTENUATEDKILLED WHOLE ORGANISMTOXOID PROTEINSPOLYSACCHARIDEGLYCOCONJUGATERCOMBINANTBCG, Yellow fever, OPV, Measles, Mumps, Rubella,Typhoid, Varicella,Rotavirus, Cholera,Cold-adapted influenza,Rotavirus reassortants.ZostTyphoid, Cholera, Plague,Pertussis, Influenza,Typhus, lPV, Rabies, JE,Tickborne encephalitis, HAVDiphtheria, Tetanus,Acellular pertussis,Anthrax, InfluenzasubunitPneumococcus,Meningococcus,Hib, Typhoid(Vi)Hib, Pneumococ-cus,MenACWY(Meningococcus)HBV Lymedisease, CholeraToxin B, HPV